Endodontic therapy is contraindicated for a single-rooted tooth that has:
1. Discoloration
2. An acute apical abscess
3. A vertical fracture of the root and an associated deep periodontal defect
4. A horizontal fracture of the root and an associated deep periodontal defect

Correct answer: 3. A vertical fracture of the root and an associated deep periodontal defect

Explanation: The vertical fracture of teeth has poorer prognosis, in addition to this presence of periodontal problem contraindicates root canal therapy.